Which of the following is not used in lepra reaction?
1. Chloroquin
2. Rifampicin
3. Clofazimine
4. Thalidomide

Correct answer: 2. Rifampicin

Explanation: Rifampicin REF: Rook's 7' ed p. 29.1-29.14 Treatment of lepra reactions according to severity Type 1 Type 2 Mild NSAIDS NSAIDS Moderate Nsaids , Corticosteroids NSAIDS , Clofazimine, Thalidomide, Chloroquine Severe NSAIDS . Corticosteroids Thalidomide , Corticosteroids , Parenteral antimony